Myxedema coma is treated with?
1. Hydrocortisone
2. Liothyronine
3. Levothyroxine
4. All of the above

Correct answer: 4. All of the above

Explanation: Since peripheral conversion of T4 to T3 is compromised in patients who are hypothyroid, combined replacement of T4 and T3 is recommended, for that we give :- - Liothyronine (active T3 derivative) - Levothyroxine T3 has a short half-life and must be administered q8h. Patients presenting with myxedema coma/crisis may have adrenal insufficiency, and stress doses of IV steroids(hydrocortisone) must be administered along with initial thyroid replacement until adrenal function has been determined to be normal. Active rewarming should be done using space blanket